Regarding autoimmune hemolytic anemia in pregnancy all are true except
1. Direct coombs test is usually positive
2. Pregnancy accelerates hemolysis
3. Usually does not respond to steroids
4. Fetal michrochimerism results in aberrant antibody production

Correct answer: 3. Usually does not respond to steroids

Explanation: During pregnancy, autoimmune hemolytic anaemia usually responds to prednisolone.